Regarding Clostridium perfringens gas gangrene, false is -
1. Common cause of gas gangrene
2. Nagler reaction positive
3. Most common toxin is hyaluronidase
4. Food poisoning strain of Cl. perfringens produces heat resistant spores

Correct answer: 3. Most common toxin is hyaluronidase

Explanation: Ans. is. 'c' i.e., Most common toxin is hyalronidase . The most common and most important toxin produced by CL perfringensis a- toxin (lecithinase). Clostridium perfringens food poisoning . Some strains of type A Cl. perfringens produce poisoning. They are characterised by the marked heat resistance of their spores and the feeble production of alpha and theta toxins. . Food poisoning is due to production of heat labile enterotoxin. . The food sources primarily involved are meat, meat products and poultry. . Incubation period is 8-24 hours. . Nausea, diarrhea and epigastric pain are the usual symptoms. Fever and vomiting are uncommon.